Following operations are done in case of otosclerosisa) Stapedectomyb) Fenestration c) Stapedotomyd) Sacculotomye) Mastoidectomy
1. ab
2. bc
3. abc
4. bcd

Correct answer: 3. abc